Narcolepsy is due to the abnormality in
1. Hypothalamus
2. Neocortex
3. Cerebellum
4. Medulla oblongata

Correct answer: 1. Hypothalamus

Explanation: Narcolepsy: Types central nervous system dysfunction of sleep mechanisms, hypocretin dysfunction, and deficit With Cataplexy symptom tetrad (1) excessive daytime sleepiness (2) cataplexy** (3) sleep paralysis (4) hypnagogic hallucinations **Temporary sudden loss of muscle tone, causing weakness and immobilization onset second decade of life. Without Cataplexy trigger for cataplexy: Strong emotions(laughter and anger) Due To Medical Condition Nocturnal sleep-fragmented, considerable sleep disturbance is present (tumors or sarcoidosis of the hypothalamus, multiple sclerosis plaques affecting the hypothalamus, paraneoplastic syndromes) Treatment: scheduled naps, lifestyle adjustment, modafinil, SSRI Reference: P 2161 chap. 20 Sleep Disorders(Kaplan & Sadock's Comprehensive Textbook of Psychiatry, 9th Edition)